Pellagra
1. Is due to pyridoxine deficiency
2. Occurs with diet chiefly on maize
3. Night blindness is a presenting feature
4. Causes high output cardiac failure

Correct answer: 2. Occurs with diet chiefly on maize

Explanation: • RDA is often higher than the recommended minimum requirement: RDA includes both daily requirement and some additional requirement for periods of growth or illness.